Treatment of nodulocystic acne is
1. Erythromycin
2. Teacycline
3. Isoretinonine (Retinoic acid)
4. Steroids

Correct answer: 3. Isoretinonine (Retinoic acid)

Explanation: C i.e. Isoretinonine